Kartagener syndrome includes all of the following except:
1. Dysphagia
2. Bronchiectasis
3. Sinusitis
4. Dextrocardia

Correct answer: 1. Dysphagia

Explanation: Kartagener syndrome includes situs inversus totalis, chronic sinusitis, and airway disease leading to bronchiectasis.